Hypergonadotropic hypogonadism in seen in all except-
1. Down
2. Turner
3. Swyer's syndrome
4. Klinefelter syndrome

Correct answer: 1. Down

Explanation: Ans. is 'a' i.e., DownHypergonadotropic hypogonadismo Also K/a primary or peripheral hypogonadism.o Characterised by hypogonadism due to an impaired response of the gonads to the gonadotropin, FSH and LH.o In turn a lack of sex steroid production and elevated gonadotropin level.Causes: Chromosomal abnormalitieso Turner's symdromeo Klinefelter syndromeo Swyer's syndromeEnzyme defecto 17 a, hydroxylaseo 17,20 lyase deficiency